A 4 year child presents with a history of hoarseness, croupy cough and aphonia, the child has dyspnoea with wheezing. The most probable diagnosis is
1. Asthmatic bronchitis
2. Laryngeal Foreign body
3. Bronchopneumonia
4. Retropharyngeal abscess

Correct answer: 2. Laryngeal Foreign body

Explanation: The given symptoms points to laryngeal foreign body. the course of illness depends on the nature of foreign body,its size,extent,and site of lodgement. Ref : Essential pediatrics,O.P.Ghai,7 th edition,pg no:367